Imaging techniques used in Uterus anomalies EXCEPT:
1. HSG
2. MRI guided HSG
3. CT guided HSG
4. USG

Correct answer: 3. CT guided HSG

Explanation: * Imaging studies, such as a hysterosalpingogram (HSG) and ultrasound, or an MRI are required to visualise the uterus and confirm that a congenital uterine anomaly is present. * A hysterosalpingogram is not considered as useful due to the inability of the technique to evaluate the exterior contour of the uterus and distinguish between a bicornuate and septate uterus. * In addition,laparoscopy and/orhysteroscopy may be indicated. REF : DAVID SUTTON 7TH ED